Pre-anaesthetic medication is given to
1. All of the above
2. Reducon of secreon of saliva
3. To prevent undesirable reflexes
4. Reduce anxiety and fear

Correct answer: 1. All of the above

Explanation: Preanaesthec medication

Premedication (Preanaesthec medication) refers to the use of drugs before anaesthesia to make it more pleasant and safe.

The aims are :
1. Relief of anxiety and apprehension preoperatively and to facilitate smooth induction.
2. Amnesia for preoperative and postoperative events.
3. Supplement analgesic action of anaesthetics and potenate them.
4. Decrease secretions and vagal simulation (undesirable reflex).
5. Anaemic effect extending into the postoperative period.
6. Decrease acidity and volume of gastric juice so that it is less damaging if aspirated.

Drugs used in premedication

1 Sedative - antianxiety → Diazepam / Lorazepam / Midazolam → Lorazepam is used most commonly. → Midazolam is used for day care surgery.
2. Opioids → Morphine/pethidine
3. Anticholinergics → Atropine / Hyoscine / Glycopyrrolate.
4. Neuroleptics → Haloperidol/chlorpromazine/triflupromazine.
5. H2 blocker or proton pump inhibitor → Ranitidine / Famotidine, omeprazole / Pantoprazole.
6. Antiemetics → Metoclopramide / Domperidone / Ondansetron.